Diagnosis of TB ace to DOTS ?
1. 1 out of 2 samples positive
2. 2 out of 3 samples positive
3. 3 out of 3 samples positive
4. None

Correct answer: 1. 1 out of 2 samples positive

Explanation: Ans. is 'a' i.e., 1 out of 2 samples positive o Two sputum smear samples are examined. o If any of the two samples or both the samples are positive, the diagnosis of smear-positive TB is confirmed.